Pit and fissure sealant used in primary prevention of caries is
1. BIS - GMA
2. Duraphat
3. Fluor protector
4. APF gel

Correct answer: 1. BIS - GMA